False about ototoxicity
1. Causes Bilateral hearing loss
2. Low frequency hearing loss occurs initially
3. Aminoglycosides cause permanent hearing loss
4. Prevented by withdrawing the drug

Correct answer: 2. Low frequency hearing loss occurs initially